CURB-65' includes -
1. PaO2 less than 65 mm
2. Coagulopathy
3. Severe Azotemia
4. Base deficit (acidosis)

Correct answer: 3. Severe Azotemia